Which of the following is given at intervals as a pulsatile therapy?
1. GnRH agonist
2. Insulin
3. FSH
4. Estrogen

Correct answer: 1. GnRH agonist

Explanation: Only pulsatile exposure to GnRH induces FSH/LH secretion while continuous exposure desensatizes pituitary gonadotropes resulting in loss of Gn release GNRH agonists are usually given in pulsatile manner while antagonists are given in continous manner (REF.Essential of medical pharmacology K D TRIPATHI 6 Edition, Page No - 239)